Which of the following fits into the criteria of severe variable deceleration, variation less than _____________
1. 90 beats per minute lasting for 60 seconds
2. 80 beats per minute lasting for 60 seconds
3. 100 beats per minute lasting for 60 seconds
4. 70 beats per minute lasting for 60 seconds

Correct answer: 4. 70 beats per minute lasting for 60 seconds

Explanation: Severe variable decelerations are defined as: Less than 70 beats/minute lasting at least 60 seconds. Variable deceleration is the abrupt decrease in FHR below the baseline. The decrease is 15 beats/minute or more, with a duration of 15 seconds or more but less than 2 minutes. Mechanism: Umbilical cord compression, leads to occlusion of the umbilical vein, hence there is decreased venous return to maintain cardiac cord. Classification: Mild: More than 80bpm irrespective of duration/less than 30 seconds irrespective of HR/70-80 bpm lasting 60 seconds Moderate: More than 70 bpm lasting 30-60 seconds/70-80 bpm lasting more than 60 seconds Severe: Less than 70 bpm lasting at least 60 seconds Ref: Nelson textbook of pediatrics 21st edition PGno: 884